'Saffron colored' amniotic fluid is seen in:
1. Post maturity
2. TB
3. Breech
4. Normal in appearance

Correct answer: 1. Post maturity

Explanation: Ans. A. Post maturityAmniotic fluid color:a. Early pregnancyColorlessb. At termStraw coloredc. Foetal distressGreen (pea soup)d. IUDDark brown (tobacco juice)e. Rh incompatibilityGoldenf. Post maturitySaffron/greenish yellow.